Transection at mid - Pons Level with intact vagus results in
1. Apneusis
2. Irregular shallow breathing
3. Deep and slow breathing
4. Hyperventilation

Correct answer: 3. Deep and slow breathing

Explanation: Transection at Mid - Pons level
a) Vagus intact ⇒ Regular respiration with deep and slow breathing.
b) Vagotomy ⇒ Apneusis.